Atavism is inheritance of features of:
1. Father
2. Mother
3. Grandfather
4. Uncle

Correct answer: 3. Grandfather

Explanation: Ans. Grandfather